Barr body is absent in female having
1. 46 XX genome
2. 45 X0 genome
3. 47 XXX
4. All of the above

Correct answer: 2. 45 X0 genome

Explanation: Barr body is absent in those with genotype 45 XO . For a brr body to be present a minimum of 2 x chromosomes should be there . No of Barr body = no of x chromosomes - 1. Reference: GHAI Essential pediatrics, 8th edition